Which is not a major component of rheumatic fever?
1. carditis
2. polyarthritis
3. sub cutaneous nodules
4. arthralgia

Correct answer: 4. arthralgia